A teenager has seen her local physician complaining of persistent and severe headaches. Her physician diagnosed migraine and prescribes sumatriptan, which acts by which of the following mechanisms?
1. Dopamine 1 agonist
2. GABAB antagonist
3. Muscarinic 3 antagonist
4. Serotonin 1D agonist

Correct answer: 4. Serotonin 1D agonist

Explanation: Sumatriptan is a serotonin 1D agonist that is used to abort migraine headaches. It is also effective in the treatment of cluster headaches. Currently, no dopamine 1 (D1) agonists, GABAB antagonists, or muscarinic m3 (M3) antagonists are used clinically.